Folding of nascent polypeptide chains is the function of
1. Chaperones
2. Proteosome
3. Heat shock proteins
4. Ribosomes

Correct answer: 1. Chaperones

Explanation: In molecular biology, molecular chaperones are proteins that assist the covalent folding or unfolding and the assembly or disassembly of other macromolecular structures. Chaperones are present when the macromolecules perform their normal biological functions and have correctly completed the processes of folding and/or assembly. The chaperones are concerned primarily with protein folding.